Keloid formulation is not seen over
1. Ear
2. Face
3. Neck
4. Eyelids

Correct answer: 4. Eyelids